Drug of choice for nephrogenic diabetes insipidus is:-
1. Mannitol
2. Spironolactone
3. Thiazides
4. Demeclocycline

Correct answer: 3. Thiazides

Explanation: Diabetes insipidus Central Nephrogenic Desmopressin (DOC) Thiazides (DOC) (As endogenous ADH is already present that is not able to work, so there is no point in giving ADH(desmopressin))